Acute hemorrhagic conjunctivitis is seen with -
1. Adenovirus
2. Staphylococcal
3. Pneumococcus
4. Hemophilus

Correct answer: 1. Adenovirus

Explanation: Hemorrhagic conjunctivitis is caused by picornaviruses (Enterovirus-70, coxsackievirus A24) and sometimes Adenovirus type11. Ref: Duker 2nd/e p.229